10 year old child with mental age of 2 years will have an IQ level of:
1. 20
2. 30
3. 50
4. 70

Correct answer: 1. 20

Explanation: Ans. A: 20 The formula for calculating IQ developed by Terman was 100 x MA / CA. Chronological Age (CA) (i.e. Biological age) Mental Age (MA) (i.e. Level of intellectual performance)